Contraceptive vaginal foam tablet "today "contains:
1. Nonoxynol 9
2. Octoxynol 9
3. Menfegol
4. None of the above

Correct answer: 1. Nonoxynol 9

Explanation: TODAY: It contains 1 gm of NONOX 4 NOL-9